Which test can predict the return of renal function in a patient with the tumor lysis syndrome?
1. Serum creatinine
2. Serum phosphate
3. Serum potassium
4. Serum Uric acid

Correct answer: 4. Serum Uric acid

Explanation: Tumor lysis syndrome Renal function recovers after the uric acid level is lowered to <10 mg/dL. Because increased urine flow rates help to inhibit crystal deposition in renal tubules, close monitoring of urine output is necessary to assess the adequacy of hydration.